Time since death can be known by all of the following except -
1. Cadaveric spasm
2. Algor mortis
3. Rigor mortis
4. Livor mortis

Correct answer: 1. Cadaveric spasm

Explanation: Ans. is 'a' i.e. Cadaveric spasm Cadaveric spasm can tell about the mode of death but not about time since death.All other options can indicate about time since death. Algor mortis is the most important indicator of time since death.